Which of the following will not take place in a patient with ulnar nerve injury in arm?
1. Claw hand
2. Thumb adduction
3. Sensory loss over medial aspect of hand
4. Weakness of flexor carpi ulnaris

Correct answer: 2. Thumb adduction

Explanation: Ulnar nerve palsy Flexor carpi ulnaris will be paralysed; Sensory loss over medial aspect of hand (area supplied by ulnar nerve) Claw hand due to paralysis of intrinsic muscles of hand. Adductor pollicis is supplied by ulnar nerve hence in ulnar nerve palsy thumb adduction will not be seen.